Which of the following statement is false regarding phenobarbitone?
1. It acts primarily at the GABA: BZD receptor -chloride ion channel complex
2. It can cross the placenta
3. Contra-indicated in Acute intermittent porphyria
4. It has no significant drug interactions with warfarin

Correct answer: 4. It has no significant drug interactions with warfarin

Explanation: Phenobarbitone induces metabolism of warfarin BARBITURATES Phenobarbitone and primidone act as anticonvulsant drugs due to GABA mimetic as well as GABA facilitatory properties. These drugs increase the duration of opening of chloride channels. These drugs are useful in generalized tonic clonic seizures (GTCS) and partial seizures. These drugs are highly sedating but tolerance develops to this effect. Phenobarbitone is a powerful enzyme inducer and increase the metabolism of several drugs including warfarin. Barbiturates are contraindicated in acute intermittent porphyria. These drugs can cause paradoxical excitation in some patients. Phenobarbitone is drug of choice for GTCS in infants but can cause hyperkinesia in older children.